An emerging organism responsible for causing Pyelonephritis in Renal Allografts is?
1. Polyoma virus
2. Herpes virus
3. Hepatitis B virus
4. Rota virus

Correct answer: 1. Polyoma virus

Explanation: ANSWER: (A) Polyoma virusREF: With text"An emerging viral pathogen causing pyelonephritis in kidney allografts is polyoma virus"REF: Robbins and Cotran pathologic basis of disease 7th edition Volume 1 page 1000"The current average half-life of a kidney transplant is 8 to 10 years. Allograft loss can occur from rejection (cell mediated or antibody mediated), recurrent urinary tract infections, polyoma virus associated nephropathy or recurrent kidney disease" REF: Mayo Clinic Internal Medicine Board Review 9th edition by Amit Ghosh page 658